Which among the following are Testicular tumour markers? 1. b-hCG 2. AFP 3. LDH 4. CA-125 5. CEA
1. 1,2,3 True & 4,5 False
2. 1,2,3 False & 4,5 True
3. 1,2,5 False & 3,4 True
4. 1,2,5 True & 3,4 False

Correct answer: 1. 1,2,3 True & 4,5 False

Explanation: Three serum tumor markers have established roles in the management of men with testicular germ cell tumors: 1. The beta subunit of human chorionic gonadotropin (b-hCG) 2. Alpha fetoprotein (AFP) 3. Lactate dehydrogenase (LDH)